Shortest acting non depolarizing neuromuscular blocker:-
1. Atracurium
2. Succinylcholine
3. Vecuronium
4. Mivacurium

Correct answer: 4. Mivacurium

Explanation: Fastest onset and shortest duration neuromuscular blocker = succinylcholine (onset = 30-45 sec) duration 5-6 minutes Fastest onset non depolarizing = rocuronium (onset = 75-90 sec). Rapacuronium is fastest acting bit not in clinical use. Rest all neuromuscular blockers onset of action = 3-5 minutes Shortest duration non depolarizing - mivacurium